Nevirapine is -
1. NRTI
2. NNRTI
3. E-TI
4. FI

Correct answer: 2. NNRTI

Explanation: Ans is 'b' i.e., NNRTI o Nevirapine is NNRTIThese drugs inhibit reverse transcriptase by acting at a site (allosteric site) different from NRTIs.These are selective for HIV-1 and have no activity against HIV-2.Resistance to these drugs develops very rapidly.o NNRI drug groupEfavirenz, nevirapine, etravirtue and delavirdine,o Mechanism of action :These are nucleotide unrelated compounds which directly inhibit HIV reverse transcriptase without the need for intracellular phosphory-lation.Adverse effectsRashes (Steven Johnson Syndrome & Toxic epidermal necrolysis)NauseaHeadach, FeverRise in live enzyme (hepatotoxic)o Nevirapine is used in pregnancy to prevent vertical transmission.o It decrease transmission to 13% as compared to 21.5% by zidovudine.o NNRTI donot cause lipodystrophy like NRTIs and RTIs# Nevirapine and efavirenz are enzyme inducers and delaviridine is enzyme inhibitor.